For refraction in a hypermetropic child, which in the best drug
1. Phenylephrine
2. Atropine ointment
3. Atropine drops
4. Homatropine

Correct answer: 2. Atropine ointment

Explanation: Cycloplegics are used before retinoscopy in patients where the examiner suspects that accommodation is abnormally active and will hinder the exact retinoscopy. Such a situation is encountered in young children especially hypermetropes. Reference : A K KHURANA OPHTALMOLOGY,Edition 4,Page-562